When do you initiate chest compressions in a newborn resuscitation?
1. Heart rate below 60
2. Heart rate below 100
3. Gasping
4. Persistent cyanosis

Correct answer: 1. Heart rate below 60

Explanation: Ref: Nelson; 20th edition; Page no: 845